Prokinetic drug with extrapyramidal side effect is?
1. Cisapride
2. Domperidone
3. Ondansetron
4. Metoclopramide

Correct answer: 4. Metoclopramide

Explanation: Ans. (d) MetoclopramideRef KDT 6/e, p 642